Contraindication of LASIK -
1. >20 year
2. Keratoconus
3. Normal cornea
4. Myopia of - 8D

Correct answer: 2. Keratoconus

Explanation: Patient selection criteria are:  Patients above 20 years of age,  Stable refraction for at least 12 months.  Motivated patient.  Absence of corneal pathology Reference : A K KHURANA OPHTALMOLOGY,Edition 4, Page-47